Suicidal tendencies are least common in
1. Alone
2. Depression
3. Male
4. Married person

Correct answer: 4. Married person

Explanation: suicide is a psychiatric emergency there are several causes for suicide schneidmann was called as father of suicidology theories of suicide was given by Durkheim *Egoistic--------------not strongly integrated into any social group *Altruistic--------------their excessive integration into social group *Anomic--------------integration into society is disturbed *Fatalistic----------rules and regulations excessively regulate the individual.Eg.slaves, Variables Enhancing Risk of Suicide among Vulnerable Group Adolescence and late-life Family history of suicide Sexual abuse Male sex Impulsivity Severe psychiatric illness Borderline personality nonreligious status Suicide epidemics Divorced, separated Physical illness unemployment Early loss of parents Previous suicidal attempts Unmarried Ref: P.902 chap34.1 Suicide Kaplan & Sadock's Synopsis of Psychiatry: Behavioral Sciences/Clinical Psychiatry, 10th Edition)